Cleft lip is due to the nonfusion of
1. Maxillary process with lateral nasal process
2. Maxillary process with medial nasal process
3. Maxillary process with mandibular process
4. All of the above

Correct answer: 2. Maxillary process with medial nasal process

Explanation: Human embryology Tenth edition Inderbier Singh Page no:160 Harelip: when one or both maxillary process do not fuse with the medial nasal process, this gives rise to defect in the upper lip. These may vary in degree and unilateral or bilateral